All are features of nephrotic syndrome in children except –
1. Lipiduria
2. Hyperlipidemia
3. Hyperalbuminemia
4. Proteinuria

Correct answer: 3. Hyperalbuminemia

Explanation: Nephrotic syndrome

Nephrotic syndrome is a group of the disease having different pathogenesis and characterized by -


Proteinuria (> 3.5 gm/day) 
Hypoalbuminemia 
Edema  
Hyperlipidemia    
Lipiduria → lipid casts     
Hypercoagulability    

Note - Proteinuria is the most important feature.